In WHO classification of periradicular diseases code no. KO4.4 represents
1. Acute apical periodontitis
2. Chronic apical periodontitis
3. Periapical abscess
4. Radicular cyst

Correct answer: 1. Acute apical periodontitis

Explanation: WHO classification of periradicular diseases

KO4.4….acute apical periodontitis
KO4.5…chronic apical periodontitis
KO4.6…periapical abscess with sinus
KO4.7…periapical abscess without sinus
KO4.8….radicular cyst